Wrist drop is due to injury to which nerve:
1. Median
2. Ulnar
3. Axillary
4. Radial

Correct answer: 4. Radial

Explanation: Ans. D. RadialWrist drop, is a medical condition in which the wrist and the fingers cannot extend at the metacarpophalangeal joints & wrist joint. The wrist remains partially flexed due to an opposing action of flexor muscles of the forearm. It is due to injury to radial nerve.